The zinc oxide-eugenol impression pastes harden by:
1. Chemical reaction
2. Cold
3. Heat
4. Pressure

Correct answer: 1. Chemical reaction

Explanation: Key Concept:  ZnO Eugenol impression paste hardens by chemical reaction.